Specificity of a diagnostic test denotes:
1. True negative
2. False positive
3. False negative
4. True positive

Correct answer: 1. True negative

Explanation: Ans. A: True negative